All are complications of ulcerative colitis, except:
1. Haemorrhage
2. Stricture
3. Malignant change
4. Fistula formation

Correct answer: 4. Fistula formation

Explanation: Fistula formation is a hallmark feature of Crohn's , since the transmural inflammation is the norm in Crohn's disease. In ulcerative colitis it is always a partial thickness involvement and hence the fistula is not formed.